The presence of a noncompetitive inhibitor can be implicated in which of the outcome?
1. Leads to both an increase in the Vmax of a reaction and an increase in the Km
2. Leads to a decrease in the observed Vmax
3. Leads to a decrease in Km and Vmax
4. Leads to an increase in Km without affecting Vmax

Correct answer: 2. Leads to a decrease in the observed Vmax

Explanation: In the presence of a noncompetitive inhibitor, Vmax is decreased, whereas Km is unchanged. The steady-state concentration of ES is decreased.